Fatal familial insomnia is associated with -
1. Prion disease
2. Degenerative disease
3. Neoplastic disease
4. Vascular disease

Correct answer: 1. Prion disease